"MAC" of desflurane is:
1. 1.15
2. 2
3. 4
4. 6

Correct answer: 4. 6

Explanation: In 20-30 year old patients Minimum Alveolar Concentration(MAC)for Halothane. 0.75 Isoflurane. 1.15 Sevoflurane. 1.85 Desflurane. 6 From Tripati 7th edition